Bilateral inferior lens subluxation is seen in-
1. Marfan syndrome
2. Homocysteinuria
3. Ocular trauma
4. None of the above

Correct answer: 2. Homocysteinuria

Explanation: Ans. is 'b' i.e., HomocysteinuriaDiseaseTypical lens dislocationo Marfan syndromeSuperotemporalo HomocystinuriaInferonasalo Weil-Marchesani syndromeForward